All except one is seen in coarctation of aorta
1. High blood pressure in the right arm than the left arm
2. Persistent  hypertension despite complete surgical  repair
3. A systolic murmur across anterior chest and back and a high pitched diastolic murmur along left sternal border
4. Inability to augment cardiac output with exercise

Correct answer: 4. Inability to augment cardiac output with exercise

Explanation: Cardiac output with exercise increases unless there is severe left ventricular failure